Fracture shaft of humerus is associated with which nerve damage?
1. Median
2. Ulnar
3. Radial
4. Musculocutaneous

Correct answer: 3. Radial

Explanation: Ans. c (Radial). (Ref. Orthopedics Maheshwari, 2nd/77; Das surgery, 330;Last Anatomy8th/70, 83,94)# Radial nerve is in contact with the periosteum of the humerus, at the lower end of the radial groove.# Radial nerve may be injured at time of injury or later when involved in callus formation (tardy palsy).# In closed fracture the nerve injury is usually neuropraxia & recovery is the rule.